IL_2 is secreted by -
1. CD4 lymphocytes
2. CD8 cells
3. Macrophages
4. Neutrophils

Correct answer: 1. CD4 lymphocytes

Explanation: IL-2 produced by activated T cells, which induced T cell proliferation and enabled their maintenance in continuous culture REF:Ananthanarayan & Panikers Textbook of Microbiology 9th Edition pg:155